Bad prognostic indicator of Schizophrenia is
1. Late onset
2. Family history of Schizophrenia
3. Positive precipitating factors
4. Prominent affective symptoms

Correct answer: 2. Family history of Schizophrenia

Explanation: B i.e. Family history of schizophreniaPrognostic Factors: Predictors of Course & Outcome in SchizophreniaFactorsGood outcome(i.e. Better prognosis)Poor Outcome(Poorer prognosis)OnsetAge at onset (clinical)Onset type of SchizophreniaAcute (abrupt)QAbout 20-25Late onset Schizophrenia (>45 yr)QInsidiousQBelow (Early (childhood) onsetSchizophreniaQRate of progression (clinical)Episode of schizophreniaLength of episode prior to assessment (i.e.Course)RapidFirstShort (months or less; <6months)SlowPast history of schizophreniapresentChronic (years; > 2years)Sex & PhysiqueFemaleQ, Fatty (pyknic)QMale, Thin (asthenic)QFamily history of mental illnessAffective (mood disorder)(2SchizophreniaPrenatal adverse events & other adversesocial factorsGene polymorphism eg COMT (catechol-0-methyl-transferase), NMDA2A,NRG1 (neuregulin), DTNBP1 (dysbindin),G72, DAAO (D-aminoacid oxidase),RGS4, PRODH (Proline dehydrogenase)Genetic factors absent(none)Genetic factorsPresentPrecipitating factor (stressor)PresentAbsentInitial Clinical SymptomsMood disorder symptoms(especially depression)Q,Withdrawn/negative symptoms(eg flat or blunt affect, poverty of predominance of positivesymptoms, catatonia, paranoia,schizoaffective symptoms, atypicalsymptoms, confusion(disorientation/perplexity)thought, apathy, asociality);obsessive-compulsive symptoms,autistic behaviorSchizophrenia-subtypeCatatonia subtype (paranoid hasintermediate prognosis), type 1non-deficit typeDisorganized, simple,undifferentiated, chronic catatonic,type II deficit typeCT/MRI (Head)Normal morphologyDilated (enlarged) ventricle, brainatroph y(2Neurological signs & symptoms; H/Operinatal trauma; assaultiveness, substanceabuse, cannabis use, many relapses & noremission in 3 yearsAbsentPresentPremorbid scocial, sexual, and workGood (eg married), resident ofPoor (eg single, divorced;(occupational) historiesdeveloped country, middle or highwidowed); underdeveloped socioeconomic statusnation, low S-E status, irregularoccupational recordEarly treatment with medication, long termPresentAbsent (i.e. absence of properdrug maintenance, response to medication treatment or poor response toinitially; out door treatment treatment or required long termhospitalization)